Sausage digit is seen in?
1. Rheumatoid arthritis
2. Juvenile idiopathic arthritis
3. Enteropathic arthritis
4. Psoriatic arthritis

Correct answer: 4. Psoriatic arthritis

Explanation: Asymmetrical inflammatory oligoarthritis - seen in psoriatic arthritis. - Occurs mostly in hands and feet. Synovitis of the finger or toe along with tenosynovitis, enthesitis and inflammation of the intervening tissue causes sausage digits.